Albert's stain is used for
1. Staphylococcus
2. Corynebacterium diphtheriae
3. Clostridium Perfringes
4. Clostridium Tetani

Correct answer: 2. Corynebacterium diphtheriae

Explanation: Albert 's or Neisser's stain: smears of Corynebacterium diphtheriae when stained with Albert's stain will show the bacilli with metachromatic granules. Delicate green bacilli with purple-blue metachromatic granules can be seen. Bacilli take up stain due to metachromatic granules which are composed of polymetaphosphate and serve as storage granules. Reference: Textbook of Microbiology; Anathanarayan and paniker's; 10th edition; page no 242